Which structure involvement is uncommon in Churg-Strauss syndrome?
1. Skin
2. Lungs
3. Kidney
4. Periphereal nerve

Correct answer: 3. Kidney

Explanation: Churg-Strauss syndrome: Lung: severe asthmatic attacks and the pulmonary infiltrates predominate the clinical pictureStriking eosinophilia seen in >80% of patientsMononeuritis multiplex seen in up to 72% of patientsSkin lesions- in about 51% of patientsRenal disease: generally less common and less severe (Ref: Harrison's 17/e p2124)